Cyanosis NOT improving with 100% oxygen in case of-
1. Cardiac asthma
2. Interstitial lung disease
3. Bronchial asthma
4. Tetralogy of Fallot (TOF)

Correct answer: 4. Tetralogy of Fallot (TOF)